RBC's are enlarged in infection with -a) P. vivaxb) P. malariaec) P. ovaled) P. falciparum
1. a
2. ac
3. ad
4. b

Correct answer: 2. ac

Explanation: RBC size: Enlarged in –P. vivax and P. ovlae, others- normal size
RBC shape: Oval in P. ovale, others- round